Dialysis patients are prone to develop -
1. Lead toxicity
2. Iron toxicity
3. Aluminium toxicity
4. Zinc toxicity

Correct answer: 3. Aluminium toxicity

Explanation: Answer- C. Aluminium toxicityAluminium intoxication is common in dialysis patients.It can cause anemia, osteomalacia and encephalopathy (dementia).